Most commonly associated human papilloma virus with Cancer Cervix is?
1. HPV 16
2. HPV 24
3. HPV 32
4. HPV 36

Correct answer: 1. HPV 16

Explanation: ANSWER: (A) HPV 16REF: Robbins 7th edition page 324Repeat in December 2011, See APPENDLX-31 for "HUMAN PAPILLOMA VIRUS""HPV 16 and 18 and less commonly HPV 31, 33, 35, 51 are found in approximately 85 % of invasive squamous cell cervical cancer"